Conj ugated hyperbilirubinemia -
1. Dubin Johnson syndrome
2. Criggler najjar syndrome
3. Breast mi lk jandice
4. Gilbert syndrome

Correct answer: 1. Dubin Johnson syndrome

Explanation: Ans. is 'a' i.e., Dubin johnson syndrome o Breast milk jaundice-Decrease bilirubin uptake across hepathocyte membrane.Entero-hepatic recirculation.Leads to indirect hyperbilirubinemia.o Crigler najjar & Gilbert syndrome (deficiency of glucuronyl transferase) <Type I - Complete deficiency Type II - Partial deficiencyy Decrease conjugation leads to Indirect hyperbilirubinemia.Defect in hepatocyte secretion of conjugated bilirubin, a Leads to direct hyperbilirubinemia.